About laryngomalacia, all are true except -
1. Curled epiglottis, Flaccid arytenoids
2. Curled epiglottis, Flaccid aryepiglottic fold
3. Flaccidity of supraglottic larynx
4. Treatment is conservative

Correct answer: 1. Curled epiglottis, Flaccid arytenoids